CARE stands for
1. Co-operative for Assistance and Relief Everywhere
2. Council of American Relief for Everybody
3. Central Association of Relief in Emergency
4. Children Association of Relief in Emergency

Correct answer: 1. Co-operative for Assistance and Relief Everywhere